Which of the following antivirals cannot be used topically in the eye ?
1. Acyclovir
2. Ganciclovir
3. Idoxuridine
4. Famciclovir

Correct answer: 4. Famciclovir

Explanation: Answer- D. FamciclovirTopical antivirals used are - Acyclovir, Ganciclovir, triflurothymidine, Vidarabine, Idoxuridine.